Vaccine and immunoglobulin can be given together in all except:
1. Tetanus
2. Rabies
3. Measles
4. HBV

Correct answer: 3. Measles

Explanation: Vaccine and immunoglobulin can be given together in RHTD: Rabies, HBV, Tetanus, Diphtheria. Measles vaccine is given within 3 days of exposure. This is because incubation period of measles induced by the vaccine strain is about 7 days, compared to 10 days for the naturally occurring measles. - Measles immunoglobulin can also be given within 6 hours to 3 days, at a WHO recommended dose of 0.25 mg/kg of body weight. - However, both should not be given together. Immunoglobulin may interfere with the response to live, attenuated vaccines. At least 8-12 weeks of gap must be maintained.